Features of trigeminal neuralgia do not include
1. Paresthesia
2. Paroxysmal pain
3. Refractory period
4. Presence of trigger zone

Correct answer: 1. Paresthesia

Explanation: Trigeminal neuralgia is an archetype of orofacial neuralgias that follows the anatomic distribution of fifth nerve that exhibits a trigger zone, stimulation of which initiates a paroxysm of pain. It is characterised by paroxysmal, excruciating pain in trigeminal dermatornes. Latency (refers to the short time period between stimulation of a trigger area and pain onset) and refractory period (occurs following an attack and during this time pain may not be initiated) are other 2 attack related phenomena related to TN.